Which serotype of A. Actnomycetemcomitans is associated with LAP.
1. Serotype a
2. Serotype b
3. Serotype c
4. Serotype d

Correct answer: 2. Serotype b